ashleys rule is
1. sex determination using teeth
2. age determination using sterum
3. sex determination using sternum
4. age determination using teeth

Correct answer: 3. sex determination using sternum

Explanation: ashleys rule : sex detrmination by sternum krogmanns accuracy - sexing of adults in humans using pelvis ref : narayanareddy